Night blindness may be associated with:
1. Vitamin A deficiency
2. Cirrhosis of liver
3. Malingering
4. All of the above

Correct answer: 4. All of the above

Explanation: Ans. D i.e. All of the above